Which of the following structures passes through sinus of morgagni -a) Ascending palatine arteryb) Levator palatini muscle c) Auditory tubed) Pterygoid nervee) Sphenopalatine nerve
1. abc
2. bc
3. acd
4. bcd

Correct answer: 1. abc